Treatment of diabetic retinopathy
1. Phacoemulsification
2. Retina laser photocoagulation
3. LASIK
4. None

Correct answer: 2. Retina laser photocoagulation

Explanation: B i.e. Retina laser photocoagulation